Bezold's abscess is in relation to:
1. Digastric muscle
2. Sternocleidomastoid muscle
3. Behind the mastoid
4. Submandibular region

Correct answer: 2. Sternocleidomastoid muscle

Explanation: Ans. (b) Sternocleidomastoid muscleRef. PL Dhingra 5th/ 87* Mastoid tip is in relation to two muscles:# Sternocleidomastoid muscle# Digastric muscle (posterior belly)* If there is abscess from:# SCM muscle: Bezolds abscess# Digastric area: Citelli s abscess.Also KnowDifferent MASTOID ABSCESSESAbscessLocationWild's abscessSubperiosteal mastoid abscessBezold's abscessDeep to Sternomastoid muscleLuc's abscessUnder periosteum of the roof of bony canalCitelli's abscessDigastric triangle (along posterior belly of digastrics muscle)